Which of the following statements regarding corneal transplantation is true:
1. Whole eye needs to be preserved in tissue culture
2. Donor not accepted if age >60 years
3. Specular microscopy analysis is used to assess endothelial cell count
4. HLA matching is mandatory

Correct answer: 3. Specular microscopy analysis is used to assess endothelial cell count

Explanation: Ans. Specular microscopy analysis is used to assess endothelial cell count